Laparoscopy detects
1. Endometriosis
2. Ca uterus
3. Ca cervix
4. Ca rectum

Correct answer: 1. Endometriosis

Explanation: Endometriosis